Most common presentation in case of twins:
1. Vertex-vertex
2. Vertex-breech
3. Vertex-face
4. Vertex-brow

Correct answer: 1. Vertex-vertex

Explanation: Most common presentation of twins is vertex - vertex 2nd most common presentation is vertex - breech.